Cresentirc Glomerulonephritis may be seen in all of the following Except?
1. Post Streptococcal Glomerulonephritis (PSGN)
2. Henoch Schonlein Purpura (HSP)
3. Anti Basement Membrane Disease
4. Alport syndrome

Correct answer: 4. Alport syndrome

Explanation: Answer is D (Alports syndrome): Alports syndrome is not associated with Rapidly Progressive Glomerulonephritis or Crescentric Glomerulonephritis Crescentric Glomerulonephritis is a histopathological diagnosis based upon the presence of 'crescents' in most of the Glomeruli. This type of histopathological picture (crescents) is seen in cases of Rapidly Progressive Glomerulonephritis (RPGN) and hence RPGN and Crescentric Glomerulo-nephritis are often used synonymously. Causes of Crescenteric Glomerulonephritis (RPGN) Type I RPGN (Anti - GBM Antibody) Idiopathic Anti Glomerular Basement membrane disease Good pasture's Syndrome Type II RPGN (Immune Complex) Idiopathic Acute Post Streptococcal Glomerulonephritis (PSGN) Lupus Glomerulonephritis (SLE) Henoch Schonlein Purpura (HSP) IgA Nephropathy Membranoproliferative Glomerulonephritis (Harrisons 17th / 1785) Cryoglobulinemia (Harrision 17th/ 1785) Post infectious (After subacute Bacterial Endocarditis) Glomerulonephritis Type III RPGN (Pauci -immune) ANCA - Small Vessel Vasculitis Wegener's granulomatosis Microscopic polyangitis Churg - Strauss syndrome Renal disease in Alport's syndrome Patients with Alport's syndrome develop thinning and splitting of Glomerular basement membraneQ, and chronic glomerulosclerosisQ, leading to renal failure. (Clinically present with hematuria & proteinuria) Rapidly progressive Glomerulonephritis or crescentric glomerulonephritis is not associated with Alport's syndrome.